Immediate implant placement in extraction socket can be indicated in?
1. Periodontal bone loss
2. Suppuration
3. Cellulitis
4. Lack of bone apical to socket

Correct answer: 1. Periodontal bone loss

Explanation: Indications and contraindications of immediate implant placement in extraction socket according to Block & Kent:-